Most common mutated gene in primary hemochromatosis
1. HFE gene
2. Transferrin receptor 2
3. Ferroportin 1
4. Hepcidin

Correct answer: 1. HFE gene

Explanation: Primary hemochromatosis - HFE gene Chr6P.